Metrifonate is effective against :
1. Amoebiasis
2. Leishmaniasis
3. Schistosomiasis
4. Giardiasis

Correct answer: 3. Schistosomiasis